Which of the following is not associated with Thymomas:
1. Red cell aplasia
2. Myasthenia gravis
3. Hypergammaglobulinemia
4. Compression of the superior mediastinum

Correct answer: 3. Hypergammaglobulinemia

Explanation: Answer is C (Hypergammoglobulinemia): Thymoma is associated with Hypogammaglobulinemia and not with hypergammaglobulinemia.